A pregnant women who is 7 weeks from her LMP comes in to the office for her first prenatal visit. Her previous pregnancy ended in a missed abortion in the first trimester. Which of the following modalities will allow you to best document fetal heart action?
1. Regular stethoscope
2. Fetoscope
3. Fetal Doppler equipment
4. Transvaginal sonogram

Correct answer: 4. Transvaginal sonogram

Explanation: Transvaginal sonogram(TVS) will be able to detect the fetal cardiac activity as early as 5 weeks of gestation. Sac Cardiac activity TVS 4+ weeks 5+ weeks TAS 5+ weeks 6+ weeks >12 weeks FHS heard with fetal doppler Regular stethoscope and fetoscope can detect fetal heart sounds by 20 to 24 weeks of gestation.